Wire loop lesions are often characteristic for the following class of lupus nephritis -
1. Mesangial proliferative glomerulonephritis( WHO class II)
2. Focal proliferative glomerulonephritis (WHO class III)
3. Diffuse proliferative glomerulonephritis (WHO class IV)
4. Membranous glomerulonephritis (WHO class V)

Correct answer: 3. Diffuse proliferative glomerulonephritis (WHO class IV)